Endothrix is caused by
1. Pityrosporum
2. T tonsurans
3. C minutissimum
4. S aureus

Correct answer: 2. T tonsurans

Explanation: Endothrix-spores inside hair shaft- hairs break at the follicular orifices appear as black dots on scalp Black dot or non inflammatory type of tinea capitis : endothix infection.hairs break at the level of scalp. Causative organism trichophyton.tonsurans. iadvl textbook of dermatologypage 255